The clinical features of eye opening, best verbal response and best motor response in Glasgow coma scale of 7 will best fit as:
1. Eye opening to pain, making incomprehensive sounds and has flexion as best motor response
2. Spontaneous eye opening, confused and localizes pain
3. Eye opening to pain, confused and localizes pain
4. No response, incomprehensive sounds and extension as best motor response

Correct answer: 1. Eye opening to pain, making incomprehensive sounds and has flexion as best motor response

Explanation: a. Eye opening to pain, making incomprehensive sounds and has flexion as best motor response(Ref: Swaiman Vol 2, p 864)Glassgow coma scale (CCS): It is the most common scoring system used to describe the level of consciousness in a person esp following a traumatic brain injury.Modified GCS for infants and children: (Max score is 15 and minimum is 3) ChildInfantScoreEye openingSpontaneousSpontaneous4To speechTo speech3To pain onlyTo pain only2No responseNo response1Best verbal responseOriented, appropriateCoos and babbles5ConfusedIrritable cries4Inappropriate wordsCries to pain3Incomprehensible soundsMoans to pain2No responseNo response1Best motor response (most important in intubated or unconscious patient)Obeys commandsMoves spontaneously and purposefully6localizes painful stimulusWithdraws to touch5Withdraws in response to painWithdraws to response in pain4Flexion in response to painAbnormal flexion posture to pain3Extension in response to painAbnormal extension posture to pain2No responseNo response1Discussing about the options one by one,a. GCS=E2+V2+M3=7b. GCS=E4+V4+M5=13c. GCS=E2+V4+M5=11d. GCS=E1+V2+M2=5